Which of the following type of amyloidosis presents with rheumatological manifestation in patients long term hemodialysis
1. ATTR
2. ARTI22 microglobulin
3. AA aEUR" Amyloid
4. AC aEUR" Amyloid

Correct answer: 2. ARTI22 microglobulin

Explanation: . ARTI22 microglobulin